Charcot's Triad includes all except
1. Pain
2. Fever
3. Jaundice
4. Septic shock

Correct answer: 4. Septic shock

Explanation: Ans. (d) Septic ShockRef: Sabiston 20th edition Page 1494* Pain, Jaundice and Fever constitute Charcot's triad in Cholangitis* Reynauld's pentad adds up- Mental status changes and Septic shock